CDC recommended treatment for uncomplicated gonorrhea -
1. Ceftriaxone
2. Tetracycline
3. Azithromycin
4. Cootrimoxazole

Correct answer: 1. Ceftriaxone

Explanation: Ans. is 'a' i.e., Ceftriaxone For uncomplicated gonococcal infection ceftriaxone is DOC (along with azithromycin or doxycyclin to cover chlamydial infection). For penicillin allergic patients quinolones are DOC. Person who can not tolerate both cephalosporin and quinolones, spectinomycin is DOC.